Which of the following endocrine tumors is mocommonly seen in MEN-I:
1. Insulinoma
2. Gastrinoma
3. Glucagonoma
4. Somatostatinoma

Correct answer: 2. Gastrinoma

Explanation: Answer is B (Gastrinoma): Amongst the options provided Gastrinomas are the most common association with MEN I.